False about Turner's syndrome are all except:
1. Long stature
2. Normal gonads
3. Normal intelligence
4. Normal breast

Correct answer: 3. Normal intelligence

Explanation: The question is asking about true statement about Turner's syndrome out of all options. Only Normal intelligence is true and while all other options provide a false explanation of Turner's syndrome as explained below: Turner syndrome Genotype is X0 Female is affected Only monosomy compatible with life Have zero Barr bodies (A normal female has one Barr body) Intelligence is normal